Transmission of stimulus across dentin is
1. Direct activation of nerve endings
2. Correlated with the innervation density of the dentin
3. Stimulus induced fluid flow
4. There is no transmission of stimulus across dentin

Correct answer: 3. Stimulus induced fluid flow